Enzymes that protects the brain from free radical injury is
1. Myeloperoxidase
2. Superoxide dismutase
3. MAO
4. Hydroxylase

Correct answer: 2. Superoxide dismutase

Explanation: Ref Robbins 7/e p17; Harrison 17/e p2572;9/e p48 Superoxide dismutase (SOD, EC 1.15.1.1) is an enzyme that alternately catalyzes the dismutation (or partitioning) of thesuperoxide (O2-) radical into either ordinary molecular oxygen (O2) or hydrogen peroxide (H2O2).